A surgeon is exploring the mediastinum found a thymic mass invading the neighboring pericardium and phrenic nerves. Frozen section is showing benign thymoma. The next intraoperative plan should be
1. Abandon the surgery & sta chemotherapy
2. Abandon the surgery & sta radiotherapy
3. Complete resection of tumor
4. Close the mediastinum and wait for final repo

Correct answer: 3. Complete resection of tumor

Explanation: Answer- C. Complete resection of tumorThe treatment of choice for the patient presented in the question is as complete a resection as possible while at Ieast one phrenic nerve is preserved.Postoperatively, the patient should receive x-ray therapy, and the combination of surgery plus irradiation offers a good chance of satisfactorily controlling the neoplasm.